Dorello's canal transmits in tip of temporal bone:
1. Middle meningeal artery
2. Mandibular nerve
3. Superior alveolar branch of maxillary
4. Abducent nerve

Correct answer: 4. Abducent nerve

Explanation: D. i.e. Abducent nerve Dorello canal is an opening to cavernous sinus that transmit abducent nerveQ underneath the superior petrosal sinus